Incidence rate is measured by -
1. Case control study
2. Cohort study
3. Cross sectional study
4. Cross over study

Correct answer: 2. Cohort study

Explanation: Ans. is 'b' i.e., Cohort study Cohort study analyses the following data :?1) Incidence rate among exposed and nonexposed2) Estimation of riska) Relative risk (risk ratio)b) Attributable risk (risk difference)c) Population attributable riskIncidence rateo In cohort study, incidence rate can be determined directly in those exposed and nonexposed.